Esophageal adenocarcinoma is predisposed by
1. Achalasia
2. Scleroderma
3. Corrossive intake
4. All

Correct answer: 2. Scleroderma

Explanation: Answer is B (Scleroderma) Barret's esophagus is the characteristic risk factor for adenocarcinoma esophagus. Scleroderma also increases the risk of esophageal adenocarcinoma perhaps through the development of Barret's esophagus as the collagen deposits in the distal esophagus cause LES dysfunction. Risk factors for esophageal adenocarcinoma (Current Gastroenterology) Barrets esophagus Gastroesophageal Reflux Disease (GERD) Scleroderma Smoking Alcohol History of colon cancer Medications Long term use (> 5 years) of Theophylline & agonists.